In the mandibular symphysis region, which aditional forces are present that are not usually seen in body, ramal or condylar regions?
1. Tension
2. Compression
3. Torsion
4. Shearing

Correct answer: 3. Torsion

Explanation: Twisting or torsional forces are present additionally in mandibular midline region.